Commonest position of appendix is?
1. Paracaecal
2. Retrocaecal
3. Pelvic
4. Subcoecal

Correct answer: 2. Retrocaecal

Explanation: Retrocaecal is the mc position in 65percent cases in 12 o clock position followed by pelvic in 4 o clock position M/C :-retrocaecal>pelvic